Ceruloplasmin contains ?
1. Zn
2. Cu
3. Se
4. Fe

Correct answer: 2. Cu

Explanation: Ans. is 'b' i.e., Cu Copper containing enzymes are cytochrome oxidase, tyrosinase, lysyl oxidase, ferroxidase (ceruloplasmin), Ascorbic acid oxidase, and superoxide dismutase.